Germ cell tumor(s) of paediatric includes all except –
1. Pure yolk sac tumor
2. Leydig cell tumor
3. Choriocarcinoma
4. Embryonal cell carcinoma

Correct answer: 2. Leydig cell tumor

Explanation: Germ cell tumors 

Germ cell tumors, as the name suggests, arise from Primordial germ cells (Precursor germ cells or gametocytes),
Germ cells develops early in life. In growing fetus, germ cells migrate from their point of origin to the gondal area.
Germ cells that still have to reach the gonads are called primordial germ cells.
After reaching to gonads these become mature germ cells and the end products of germ cell cycle are the egg or sperm.
Germ cell tumors arise from primordial germ cells.
Therefore germ cells tumor may be : -


Gonadal (In testis or ovary)
Extragonadal : - When primordial genn cells fail to reach the right location and divide at the site of arrest. Extra-gonadal germ cell tumors may occur at nzediastinum (most common site), retroperitonium (2nd most common site), brain, pineal gland, sacrococcygeal region.


Germ cell tumor are : -


Senzinoma/dysgerminoma       ❑ Embryonal carcinoma               ❑ Yolk/sac (endodermal sinus) tumor


Choriocarcinoma                      ❑ Teratoma Non-germ cell gonadal tumors 


These tumors occur in adults. These may occur very rarely in children and occur predominantly in ovary. Tumors are

i)             Surface epithelial tumors : - Serous tumor, mucinous tumor, Brenner tumor etc. Sex cord stromal tumors : - Granulosa-theca cell tumor, Sertoli-Leydig cell tumor